Insulin-mediated uptake of glucose into muscle is through
1. GLUT-2
2. GLUT-4
3. GLUT-1
4. GLUT-5

Correct answer: 2. GLUT-4

Explanation: GluT4 is the major glucose transporter in skeletal muscle and adipose tissue. is under the control of insulin. But other glucose transporters are not under the control of insulin.Ref: DM Vasudevan, 7th edition, page no: 107